The most important factor on which development of papilloedema depends in intracranial tumours is:
1. Site of tumour
2. Size of tumour
3. Nature of tumour
4. Rate of growth of tumour

Correct answer: 1. Site of tumour

Explanation: Ans. Site of tumour